Propranolol should not be given to a patient on treatment with which of the following drug ?
1. Nifedipine
2. Nitrates
3. ACE inhibitors
4. Verapamil

Correct answer: 4. Verapamil